All are true about FTA -ABS in Syphilis, except
1. FTA - ABS becomes negative after treatment
2. Present in secondary syphilis
3. It is a specific test
4. May be positive in Lyme's disease

Correct answer: 1. FTA - ABS becomes negative after treatment